Intention tremors are seen in lesion of:
1. Basal ganglia
2. Temporal lobe
3. Frontal lobe
4. Cerebellum

Correct answer: 4. Cerebellum

Explanation: Ans: D i.e. CerebellumVoluntary motor activity signs (ataxia) of cerebellar syndrome includes intention tremor. There is no tremor at rest (cf parkinsonism) but on attempting to do something, tremor appears. As this happens when the subject intends to do something, this is called "intention tremor"